The ovarian cycle is initiated by:
1. FSH
2. Estrogen
3. LH
4. Progesterone

Correct answer: 1. FSH

Explanation: Ans. is a i.e. FSHRef: Shaw 14th/ed, p41, Dutta Gynae 5th/ed, p82Ovarian cycle is initiated by FSHRemember: Following questions asked, previously on FSHFSHi. It is the hormone which initiates ovarian cycleii. In menopausal females- Since primordial follicles are decreased so levels of estrogen is decreased, so negative feedback on FSH is decreased, hence levels of FSH are increased and increased FSH levels are a sine qua non of menopause.iii. Human menopausal gonadotropin (HMG) is FSH and LH obtained from the urine of postmenopausal femalesiv. FSH levels can help in differentiating the causes of male infertility vizIn pretesticular cause of male infertility = FSH decreasesIn testicular cause = FSH levels increaseIn post testicular cause = FSH is normal